Foam cells are formed by?
1. Neutrophills
2. Fibroblasts
3. Macrophages
4. All of them

Correct answer: 3. Macrophages

Explanation: Ans. is 'c' i.e., Macrophages * Foam cells are lipid-laden cells that derive predominantly from macrophages (M2 type), but smooth muscle cells can also imbibe lipid to become foam cells.* They are seen in atherosclerosis.